Side-effects of corneal microdeposits is seen most commonly with which of the following drugs
1. Esmolol
2. Amiodarone
3. Adenosine
4. Bretylium

Correct answer: 2. Amiodarone

Explanation: Refer kDT 7/e p534 More common side effects The most common side effects that can occur with amiodarone oral tablet include: nausea vomiting fatigue tremor lack of coordination constipation insomnia headache stomach pain decreased sex drive or performance uncontrollable or unusual movements of the body If these effects are mild, they may go away within a few days or a couple of weeks. If they're more severe or don't go away, talk to your doctor or pharmacist. Serious side effects Call your doctor right away if you have serious side effects. Call 911 if your symptoms feel life-threatening or if you think you're having a medical emergency. Serious side effects and their symptoms can include the following: Allergic reactions. Symptoms can include: skin rash itching hives swelling of your lips, face, or tongue Lung problems. Symptoms can include: wheezing trouble breathing shortness of breath coughing chest pain spitting up blood Vision changes. Symptoms can include: blurred vision increased sensitivity to light vision problems such as seeing blue or green halos (circles around objects) Liver problems. Symptoms can include: unusual tiredness or weakness dark urine yellowing of your skin or the whites of your eyes Heart problems. Symptoms can include: chest pain fast or irregular heart rate feeling lightheaded or faint unexplained weight loss or weight gain Stomach problems. Symptoms can include: spitting up blood stomach pain nausea or vomiting Thyroid problems. Symptoms can include: decreased tolerance to heat or cold increased sweating weakness weight loss or weight gain thinning hair Pain and swelling of your scrotum Nerve damage. Symptoms can include: pain, tingling, or numbness in your hands or feet muscle weakness uncontrolled movements trouble walking Serious skin reactions. Symptoms can include: blue-gray skin color severe sunburn